Corneal epithelium is composed of:
1. Stratified keratinized epithelium
2. Stratified non-keratinized epithelium
3. Columnar epithelium
4. Pseudostratified epithelium

Correct answer: 2. Stratified non-keratinized epithelium

Explanation: Ans. Stratified non-keratinized epithelium